Sabin Feldman dye test is used for diagnosis of which of the following condition
1. Trypanosomiasis
2. Kalazar
3. Yellow fever
4. Toxoplasmosis

Correct answer: 4. Toxoplasmosis

Explanation: (D) Toxoplasmosis [?]Toxoplasma Gonidi is a sporozoal infection naturally in birds, rectails, mammals & man.oThe infection in newborn occurs by congenital toxoplasmosis transmitted from mother to child. In such children fever, jaundice, hydrocephalus, microcephaly & cerebral calcifications are seen.[?]Lab Diagnosis of Toxoplasmosis:oThe demonstration of the Toxoplasma gondii organism in blood, body fluids, or tissue.oDetection of Toxoplasma gondii antigen in blood or body fluids by enzyme-linkedoimmunosorbent assay (ELISA) technique.oOf particular interest is determining acute infection in pregnant women, due to the risk of congenital toxoplasmosis. This is complicated by the fact that many women have existing IgG and IgM antibodies to T. gondii.[?]Sabin Feldman Dye Test:oCytoplasm modifying antibody.oEqual amount (0.1ml) of diluted patient's serum (1:17,1:32,1:64,1:128 and 1:256) + toxoplasma suspension + Normal human serum (accessory factor) are incubated in a water bath at 37degC for 1 hour.oOne drop of saturated alcoholic solution of methylene blue (Ph11) is added.oThe number of toxoplasma with stained & unstained cytoplasm is counted.oThe highest dilution of the serum in which 50% or more of the organism have unstained cytoplasm is taken as the titre.oIn acute infection diagnosis confirmed by identifying toxoplasms in stained preparations of:-Lymph node aspirates, CSF, peritoneal aspirate, bone marrow.Sabin-Feldman Dye Test is a sensitive and specific neutralization test. It measures IgG antibody and is the standard reference test for toxoplasmosis. High titers suggest acute disease.Serologically IgM fluorescent antibody test detects IgM antibodies within the first week of infection, but titers fall within a few months.Toxoplasma Gondii[?]Antibody Detection:oCytotoxic effect of antibodies in the presence of complements.oEnd point is the dilution at which 50% of the tachyzoites are dead.oLive tachyzoites necessary.oEasy to read, Highly sensitive (2IU/mI).oDetects very early antibodies.Other Options[?]TrypanosomiasisoTrypanosomes cause 'sleeping sickness' in man & nagana in cattle in Africa called Trypanosomiasis.oDiagnosis established by demonstration of trypanosomes in peripheral blood, bone marrlow, lymph nodes & CSF.oSerological tests involve direct agglutination, IHA., ELISA & ImmunofluoresenceoCard Indirect Agglutination test for Trypanosomiasis.[?]Kalazar or Visceral Leishmaniasis:oIs caused by L. donovani & transmitted by female phlebotamine sandflies (Phlebotomus argentipes).oDemonstration of parasite LD bodies in aspirates of spleen, liver, bone marrow or lymph node confirms visceral leishmaniasis.oAldehyde test of Napier widely used in India for diagnosis of Kala-azar.oSerological tests: Direct agglumination test, rk 39 dipstick test, ELISA, indirect fluorecent antibody test.oLeishmanin Test based on skin reaction, represents delayed hypersensitivity.[?]Yellow Fever:oIt is caused by Flavivirus & spread by mosquito Aedes aegypti, causing Fever & JaundiceoLab Diagnosis: Depend up on isolation of virus by intracerebral inocculation of blood of patient into mice.oSerological Tests: of CFT nutralization & HAIoIntranuclear inclusion bodies which are eosinophilic (red) are seen in the areas of hyaline necrosis called Councilman bodies.